Mortality rate in measles encephalitis is -
1. 1-2%
2. 10-20%
3. 20-30%
4. 30-40%

Correct answer: 2. 10-20%

Explanation: Ans. is 'b i.e., 10-20% "The mortality rate in encephalitis associated with measles is about 10-20 %" -- Park "Case fatality rate in acute measles encephalitis is 15%" wwwcdc.gov.